Loffler's medium is -
1. Indicator medium
2. Selective medium
3. Enrichment medium
4. Enriched medium

Correct answer: 4. Enriched medium

Explanation: When a basal medium is added with some nutrients such as blood, serum, egg, it is called enriched medium Loeffler serum slope - serum is added for enriching the medium is used for grouping Corynebacterium diphtheriae REF:a textbook of Microbiology Dr.C.P.Baveja 4th Edition pg no: 43